Histamine causes all EXCEPT:
1. Arteriolar dilatation
2. Increased permeability of venules
3. Constriction of large arteries
4. Platelet aggregation

Correct answer: 4. Platelet aggregation

Explanation: Platelet aggregation REF: Robbin's pathology 7th edition page 63 Preformed histamine is present in mast cell granules and is released by mast cell degranulation in response to variety of stimuli. In humans histamine causes: Arteriolar dilatation Increased permeability of venules (however constricts large arteries) Via binding to H1 receptor on endothelial cells